What is the most common eye lesion in HIV?
1. Kaposi Sarcoma of Lid
2. CMV Retinitis
3. Cotton wool spots
4. Choroiditis

Correct answer: 3. Cotton wool spots

Explanation: Ans. is 'c' i.e., Cotton wool spots Ocular manifestations of AIDSo The most common abnormal finding on fundoscopic examination is cotton-wool spots.o Following ocular findings can be seen in AIDS:1) Retinal microvasculopathy -# Superficial & deep retinal hemorrhages occur in 15-40% cases# Multiple cotton wool spots occur in 50% cases.# Microaneurysms & telagiectasia may also be seen rarely.2) Usual ocular infections --# Herpes zoster ophthalmicus# Herpes simplex infections# Toxoplasmosis (Chorioretinitis)# Ocular tuberculosis, syphilis & fungal corneal ulcers3) Opportunistic infections# CMV retinitis# Candida endophthalmits# Cryptococcal infections# Choroiditis# Pneumocystis carinii4) Unusual neoplasms# Kaposi's sarcoma of eye lids & conjunctiva# Burkitt's lymphoma of the orbit5) Neuro-ophthalmic lesion# Isolated or multiple cranial nerve palsies resulting in paralysis of eyelids, extraocular muscles, and optic nerve.